When performing a DCR, the osteum is created at the level of
1. Superior turbinate
2. Middle turbinate
3. Inferior turbinate
4. None of the above

Correct answer: 2. Middle turbinate

Explanation: Osteum is created at the level of middle turbinate.